Satellite lesions in eye is caused by -
1. Herpes zoster
2. Herpes simplex
3. Aspergillosis
4. Trachoma

Correct answer: 3. Aspergillosis

Explanation: Multiple smal,bilateral satellite lesion seen in fungal corneal ulcer. Reference:Comprehensive ophthalmology,AK Khurana,6th edition,page no.106.